A 26 year old third gravida mother delivered a male baby weighing 4–2 kg at 37 weeks of gestation through an emergency caesarean section, for obstructed labour. The child developed respiratory distress one hour after birth. He was kept nil per orally (NPO) and given intravenous fluids. He maintained oxygen saturation on room air. No antibiotics were given. Chest radiograph revealed fluid in interlobar fissure. Respiratory distress settled by 24 hours of life. What is the most likely diagnosis ?
1. Transient tachypnea of the newborn
2. Meconium aspiration syndrome
3. Persistent fetal circulation
4. Hyaline membrane disease

Correct answer: 1. Transient tachypnea of the newborn

Explanation: Respiratory distress, which resolves within 24 hours without any respiratory support and fluid in interlobar fissure on chest X-ray suggest the diagnosis of TTN.